Gradient in pulmonary artery wedge pressure and left venticular end diastolic pressure is seen in
1. Aortic regurgitation
2. Constrictive pericarditis
3. Left atrial myxoma
4. Pulmonary thromboembolism

Correct answer: 3. Left atrial myxoma